True about attachments at ischeal tuberosity -
1. Origin of semitendinosus from superolateral area
2. Origin of semimembranosus from superolateral area
3. Origin of long head of biceps from superolateral area
4. Origin of adductor magnus from superolateral area

Correct answer: 2. Origin of semimembranosus from superolateral area

Explanation: Ans. is 'b' i.e., Origin of semimembranosus from superolateral area o Attachments of ischeal tuberosity -SuperolateralOr gin of semimembranosus.InferomedialOrigin of semitendinosus and long head of biceps.Outer lower area Origin of adductor magnus.o Medial margin gives attachment to sacrotuberous ligamento Lateral border gives attachment to ischeofemoral Ligament.